Active immunity is not acquired by -
1. Infection
2. Vaccination
3. Immunoglobulin transfer
4. Sub-clinical infection

Correct answer: 3. Immunoglobulin transfer

Explanation: Active immunity is the resistance developed by an individual as a result of antigenic stimulus. Naturally acquired active immunity occurs when a person is exposed to a live pathogen, (clinical & subclinical) and develops a primary immune response, which leads to immunological memory. Artificially acquired active immunity can be induced by a vaccine, a substance that contains antigen. A vaccine stimulates a primary response against the antigen without causing symptoms of the disease. Ref: Ananthanarayan & Panikers textbook of microbiology 9th edition pg.no. : 81-84